Pathognomic features of acute rheumatic fever is:
1. Pericarditis
2. Myocarditis
3. Mitral stenosis
4. Aschoffs nodules

Correct answer: 4. Aschoffs nodules

Explanation: Ans. (d) Aschoffs nodules(Ref: Robbins 9th/pg 557-559)Aschoff Bodies are characteristic feature. However, if anistshkow cells are given in option, please mark that